A Radiological sign of meningioma:
1. "Mother-in-law" sign
2. Owl eye sign
3. Tiger eye sign
4. Inverted napoleon hat sign

Correct answer: 1. "Mother-in-law" sign

Explanation: *Meningiomas show intense contrast enhancement with Early enhancement and Delayed Washout (Early to come and Late to Go) which has been referred to as Mother in Law Sign *Owls eye sign - spinal cord ischemia *Tiger Eye Sign - Halloverden Spatz Disease *Inverted Napolean Hat Sign - b/l Spondylolisthesisof L5 over S1 in frontal pelvic radiograph